Which of the following is an Alpha la adrenergic blocker which give symptomatic relief in BPH?
1. Tamsulosin
2. Prazosin
3. Oxazocin
4. Dolazoline

Correct answer: 1. Tamsulosin

Explanation: Alpha 1A receptor is predominantly found in bladder base and prostate. Tamsulosin is a uroselective alpha1 blocker effective for symptomatic relief in BPH. Prazosin is a highly selective alpha 1 blocker having alpha1: alpha 2 selectivity ratio 1000:1. It blocks alpha 1 receptors in bladder trigone and prostate and improves urine flow and reduces residual urine in bladder in a case of BPH.